The tertiary structure of protein is determined by
1. X-ray Crystallography
2. Spectrophotometry
3. Electrophoresis
4. Chromatography

Correct answer: 1. X-ray Crystallography

Explanation: Three-Dimensional Structure is determined by X-ray Crystallography or by NMR SpectroscopyRef: Harper's Biochemistry; 30th edition; Chapter 5; Proteins: Higher Orders of Structure